The glomerular filtrate contains all except -
1. HCO.
2. Albumin
3. Glucose
4. Sodium

Correct answer: 2. Albumin

Explanation: Ans. is 'b' i.e., Albumin o Water is freely filterable through the glomerular barrier. o A filterability of 1.0 means that the substance is filtered as freely as water; a filterability of 0.75 means that the substance is filtered only 75 percent as rapidly as water. o Substances that are freely filterable (filterability 1.0) are water, sodium, glucose. Bicarbonate, inulin, and creatinine, o Myoglobin is partially filterable (filterability of 0.75) and albumin is almost not filterable (filterability of0.005) under normal conditions.